Level of which clotting factor falls first after giving warfarin?
1. V
2. VI
3. VII
4. VIII

Correct answer: 3. VII

Explanation: Ans. is 'c' i.e., VII